Chromosomal abnormality seen in promyelocytic
1. 17-15t
2. 21-9t
3. 22-9t
4. None of the above

Correct answer: 1. 17-15t